Bishop scoring is done for ?
1. Exchange transfusion in newborn
2. Induction of labour
3. Ventilation of Newborn
4. Gestation of Newborn

Correct answer: 2. Induction of labour

Explanation: Ans. is 'b' i.e., Induction of labour Bishop score, also Bishop's score, also known as cervix score is a pre-labor scoring system to assist in predicting whether induction of labor will be required. The total score is achieved by assessing the following five components on vaginal examination: Cervical dilation Cervical effacement Cervical consistency Cervical position Fetal station If the Bishop score is 8 or greater the chances of having a vaginal delivery are good and the cervix is said to be favorable or "ripe" for induction. If the Bishop score is 6 or less the chances of having a vaginal delivery are low and the cervix is said to be unfavorable or "unripe" for induction.